Recurrent obstruction, mass per abdomen and diarrhoea in a child is suggestive of which of the following condition?
1. Intussusception
2. Rectal prolapse
3. Internal fistula
4. Haemorrhoids

Correct answer: 1. Intussusception

Explanation: Recurrent obstruction and mass per abdomen is suggestive of intussusception. As intussusception has been seen to complicate cases of gastroenteritis this can also explain diarrhoea. Ref: Bailey & love 25/e, Page 1191; Nelson 17/e, Page 1242.